Which of the following is most likely to be affected in an anuerysm of posterior cerebral artery (PCA)?
1. Hypophysis cerebri
2. Trochlear nerve
3. Oculomotor nerve
4. Optic nerve

Correct answer: 3. Oculomotor nerve

Explanation: *A third nerve palsy may be present due to local pressure from an aneurysm of the posterior communicating artery. Ref Harrison20th edition pg 2554